Beta blockers are not indicated in:
1. Acute CHF
2. Hypertension
3. Chronic CHF
4. Arrhythmia

Correct answer: 1. Acute CHF